Putti Platt operation is done for
1. Elbow instability
2. Shoulder instability
3. Rotator cuff tear
4. Biceps Tendinitis

Correct answer: 2. Shoulder instability

Explanation: Putti-Platt operation is done for preventing recurrent shoulder dislocation. Double breasting of subscapularis tendon is performed in order to prevent external rotation and abduction, thereby preventing recurrences. Other operations are Bankarts operation, Bristows operation. Ref: Essential Orthopaedics, Maheswari & Mhaskar, 9th ed